During gothic arch tracing apex indicates
1. Centric occlusion
2. Horizontal jaw relations
3. Centric relation
4. Physiologic rest position

Correct answer: 3. Centric relation